Acrodermatitis Enterohepatica occurs due to deficiency of?
1. Ascorbic acid
2. Vitamin B12
3. Zinc
4. Riboflavin

Correct answer: 3. Zinc

Explanation: Ans. (c) ZincRef: OP Ghai 8th ed./121Autosomal recessive disorder caused by an inability to absorb sufficient zinc from the diet.Genetic defect is in the intestinal zinc specific transporter gene SLC39A4.Clinical Manifestations# Vesiculo-bullous, eczematous, dry, scaly, or psoriasiform skin lesions symmetrically distributed in the peri-oral, and perineal areas and on the cheeks, knees, and elbows.# The hair often has a peculiar reddish tint# Ocular manifestations include photophobia, conjunctivitis, blepharitis, and corneal dystrophy# Chronic diarrhea, stomatitis, glossitis, nail dystrophy, growth retardation# Delayed wound healing# Lymphocyte function and free radical scavenging are impaired.Previous year questions on topic- nutritional deficiencies in children* DOC acrodermatitis enterohepatica = ZINC therapy rapidly abolishes the manifestations of the disease.* Radiological findings of rickets = Cupping, Fraying, Splaying on distal end of radius.* Dose of vitamin D for rickets= 6 lac IU intramuscular single dose or 60,000IU orally XI0 days.* Keshan disease=Selenium deficiency